Investigation of choice in diabetic mother with a doubtful abnormal fetus:
1. USG
2. Glycosylated hemoglobin
3. Amniocentesis
4. Chorionic villous biopsy

Correct answer: 1. USG

Explanation: Ans. A i.e. USG